A low weight-for-height indicates ________
1. Acute malnutrition
2. Chronic malnutrition
3. Acute on chronic malnutrition
4. Stunting

Correct answer: 1. Acute malnutrition

Explanation: A low weight-for-height, or wasting, indicates acute malnutrition. Nutritional status is often assessed in terms of anthropometry: Conversely, a high weight-for-height indicated overweight A low height-for-age, or stunting, indicates chronic malnutrition A low weight for the age indicates acute on chronic malnutrition Mid-Upper arm Circunference (MUAC) is an age-independent parameter used for screening wasting in children. World Health Organisation (WHO) classification of nutritional status of infants and children: Nutritional Status Age: birth to 5 years Obese Weight-for-length or BMI-for-age >3SD of the median Overweight Weight-for-length/height or BMI-for-age >2SD and </= 3SD of the median Moderately underweight Weight-for-age < -2SD and >/= -3SD of the median Severely underweight Weight-for-age < -3SD of the median Moderate acute malnutrition Weight-for-length/height or BMI-for-age </= -2SD and >/= -3SD of the median, or mid-upper arm circumference >/=115 mm and <125mm Severe acute malnutrition Weight-for-length/height or BMI-for-age <-3SD of the median or mid-upperarm circumference <115 mm, or bilateral pitting edema Moderately stunted (moderate chronic malnutrition) Length/height-for-age </= -2SD and >/= -3SD of the median Severely stunted (severe chronic malnutrition) Length/height-for-age <-3SD of the median Moderately wasted Weight-for-length/height </= -2SD and >/= -3SD of the median Severely wasted weight-for-length/height <-3SD of the median Ref: Nelson Textbook of pediatrics 21st edition Pgno: 333 and 334